All of the following are associated with Primary aldosteronism EXCEPT
1. Hypokalaemia
2. Postural hypotension
3. Hypernatremia
4. Metabolic alkalosis

Correct answer: 2. Postural hypotension

Explanation: (B) Postural hypotension # Laboratory findings of Primary Aldosteronism depend on both the duration and the severity of potassium depletion.> An overnight concentration test often reveals impaired ability to concentrate the urine, probably secondary to the hypokalemia> Urine pH is neutral to alkaline because of excessive secretion of ammonium and bicarbonate ions to compensate for the metabolic alkalosis.> Hypokalemia may be severe (<3 mmol/L) and reflects body potassium depletion, usually 300 mmol.> In mild forms of primary aldosteronism, potassium levels may be normal.> Hypernatremia is infrequent but may be caused by sodium retention, concomitant water loss from polyuria, and resetting of the osmostat.> Metabolic alkalosis and elevation of serum bicarbonate are caused by hydrogen ion loss into the urine and migration into potassium-depleted cells.> Alkalosis is perpetuated by potassium deficiency, which increases the capacity of the proximal convoluted tubule to reabsorb filtered bicarbonate.> If hypokalemia is severe, serum magnesium levels are also reduced.> Postural hypotension is seen in Addison's disease In Conn's syndrome: Aldosterone causes increase in sodium and water retention and potassium excretion in the kidneys, leading to arterial hypertension (high blood pressure).